Marfan's syndrome has which of the following prominent eye defects?
1. Megalocornea
2. Microcornea
3. Microspherophakia
4. Ectopia lentis

Correct answer: 4. Ectopia lentis

Explanation: Marfan's syndrome is characterized by ectopia lentis (superior-temporal) 80% and megalocornea 15% in the eye. Ref: A.K KHURANA (2005), Chapter 8, "Disease of The Lens", In the book, "Opthalmology", 3rd Edition, Newdelhi, Page 210